The Framingham heart study is an example of-
1. Case-control study
2. Cohort study
3. Randomized controlled trial
4. Cross-sectional study

Correct answer: 2. Cohort study

Explanation: Cohort study is also known as incidence study. The cohorts are identified prior to the appearance of disease under investigation. The study group so defined are observed over a period of time to determine the frequency of disease among them. Ref: 25th edition, Park's Textbook of Preventive and Social Medicine, Page no. 83